Acute urinary retention in a male child may be due to:
1. Prostatic radiotherapy
2. Urethral stricture
3. Hysteria
4. Meatal ulcer with scabbing

Correct answer: 4. Meatal ulcer with scabbing

Explanation: Acute urinary retention in a male child may be due to local inflammatory causes like meatal ulcer with scabbing. Etiology of urinary retention in children Neurological processes (17%) Severe voiding dysfunction (15%) UTI (13%) Constipation (13%) Adverse drug effect (13%) Local inflammatory causes (7%) Locally invading neoplasms (6%) Benign obstructing lesions (6%) Idiopathic (6%) Combined UTI and constipation (2%) Incarcerated inguinal hernia (2%)